What is the emergent management of tension pneutnothorax?
1. Chest X-ray
2. Emergency room thoracotomy in unstable patients
3. Insert needle in 2nd intercostal space
4. Tube thoracostomy in 5th intercostal space

Correct answer: 3. Insert needle in 2nd intercostal space

Explanation: Ans. c. Insert needle in 2nd intercostal space Emergent management of tension pneumothorax is to insert needle in 2nd intercostal space. 'Treatment of tension pneumothorax consists of immediate decompression by rapid insertion of a large-bore needle into the 2nd intercostal space in the mid-clavicular line of the affected hemothorax.'